Transport media for vibrio cholerae ?
1. Alkaline peptone water
2. Cary - Blair medium
3. TC BS medium
4. None of the above

Correct answer: 2. Cary - Blair medium

Explanation: Ans. is 'b' i.e., Cary-Blair medium